A neonate presents with colicky pain and vomiting with sausage-shaped lump in the abdomen, diagnosis is:
1. Enterocolitis
2. Perforation of the abdomen
3. Intussusception
4. Acute appendicitis

Correct answer: 3. Intussusception

Explanation: Intussusception:- Clinical features - Typical history: Sudden, short-duration, cyclic crampy abdominal pain. - During these episodes the infant cries inconsolably with knees drawn up. - Between episodes the infant is asymptomatic. Vomiting is almost universal Initially the passages of stools may be normal while later on blood mixed with mucus is evacuated (red currant jelly stool) - An abdominal mass may be palpated-a sausage shaped abdominal mass (increase in size and firmness during the paroxysm of pain) - There may be an associated feeling of emptiness in the right iliac fossa (Sign of Dance)